Hypopharyngeal tumors have a poor prognosis compared with other head and neck cancer sites because of all except:-
1. Vague early stage symptoms
2. Locally advanced stage at presentation
3. High rate of nodal metastasis
4. Low rate of distant metastasis

Correct answer: 4. Low rate of distant metastasis

Explanation: Hypopharyngeal tumors have a poor prognosis compared with other head and neck cancer sites because of Vague early stage symptoms. Locally advanced stage at presentation. High rate of nodal metastasis. High rate of distant metastasis